A 40-year-old air-conditioner technician is referred to a psychiatrist because of change in behavior and deterioration in functioning. When he feels the gust of cold air coming from the air conditioner, he interprets the cold air as poison gas from Mars. This phenomenon can be described as?
1. Delusional memory
2. Delusional perception
3. Tactile hallucination
4. Primary delusion

Correct answer: 2. Delusional perception

Explanation: In delusional perception a delusion is attached to a normal perception. Here feeling gust of cold air from air conditioner is a normal perception while the claim that the cold air is a poison gas from another planet is the delusion attached to this normal perception.